The following does not determine specific protection
1. Pap smear for early detection of carcinoma cervix in community
2. Wearing of goggles by welders
3. Wearing of seat belts by car drivers
4. Vitamin A for children prophylaxis

Correct answer: 1. Pap smear for early detection of carcinoma cervix in community